70 year old man with cervical lymphadenopathy what can be the cause
1. Nasopharyngeal carcinoma
2. Angiofibroma
3. Acoustic neuroma
4. Otosclerosis

Correct answer: 1. Nasopharyngeal carcinoma

Explanation: It is mostly seen in fifth to seventh decades but may involve younger age groups. It is not uncommon to see the cancer of nasopharynx in the twenties and thirties. Cervical nodal metastasis: This may be the only manifestation of nasopharyngeal cancer. A lump of nodes is found between the angle of the jaw and the mastoid and some nodes along with the spinal accessory in the posterior triangle of the neck. Nodal metastasis is seen in 75% of the patients when first seen, about half of them with bilateral nodes. (Ref: Diseases of Ear, Nose and Throat, P.L Dhingra, 7th edition, page 284,285)